Method of speech communications after laryngectomy include:
1. Electrolarynx
2. Oesophageal speech
3. Tracheo-oesophageal speech
4. All

Correct answer: 4. All

Explanation: Method of speech communications after laryngectomy include: Oesophageal speech Electrolarynx Transoral pneumatic device Tracheo-oesophageal speech - Blom-Singer prosthesis - Panje prosthesis